In root canal treatment, the canal orifices are located
by:
1. Endodontic excavator
2. DG-16 Endodontic explorer
3. C+ file
4. H-file

Correct answer: 2. DG-16 Endodontic explorer